Call-Exner bodies are seen in which of the following tumours?
1. Dysgerminoma
2. Yolk sac tumor
3. Granulosa cell tumor
4. Fibroma of ovary

Correct answer: 3. Granulosa cell tumor

Explanation: * Granulosa cell tumor -Call Exner bodies are seen. * Yolk sac tumors -Schiller Duval bodies are seen . Fibroma of ovary - on histologic examination, they are composed of well - differentiated fibroblasts & scant interspersed collagenous stroma.